A child can withhold and postpone bowel movements by the age of:
1. 2 years
2. 3 years
3. 5 years
4. 4 years

Correct answer: 2. 3 years

Explanation: Ans: b (3 years) Ref: OP Ghai,6th, ed, p. 47At the age of 3 years, a child can withhold and postpone his bowel movements.* Gastrocol ic reflex weakens by 4 months* Bowel movement becomes irregular without any relation to eating by 7 months.* Toddler can walk to the toilet by the age of 15 to 18 months and is usually ready to start toilet training.* By the age of 2 years he is trainable.List of repeatedly asked important milestones:GraspMotor* Bidextrous-- 5 months* Crawling-- 8 months* Palmar grasp-- 7 months* Creeping-- 10 months* Pincer grasp-- 9 months* Cruising-- 10 months* Transfer of objects from one hand to other -- 6-7 months* Turns knob and unscrews lid-- 1 -2 yearsSocial and adaptive* Tiptoe walking* Rides tricycle-- 2 1/2 years-- 3 years* Enjoys mirror image -- 6 months* Momentarily stand* Stranger anxiety-- 7-9 monthson one foot-- 3 years* Pat a cake--10 months* Hops-- 4 years* Peek a boo-- 10 months* Skip-- 5 years* Know sex and age -- 3 years LanguageFine motor* Cooing-- 3 month* Copies a line-- 2 years* Babbles-- 5-6 months* Copies a circle-- 3 years* Monosyllables --- 6 months* Copies a square and plus-- 4 years* Vocalize-- 6-7 months* Copies cross and triangle-- 5 years* Bisyllables-- 9 months * 2 Words with meaning--12 months* Speaks 10 words -- 18 months* Tells a story-- 3 yearsNOTE* The moro reflex is never encountered with normal full term infants after 6 months of age* The earliest neonatal reflex to disappear--sucking and rooting* The neonatal reflex which persists throughout life--parachute reflex.